What is the critical value of Shock Index which is considered abnormal in pregnancy?
1. 0.9-1.1
2. 0.5 0-.7
3. 0.3-0.5
4. 0.7-0.9

Correct answer: 1. 0.9-1.1

Explanation: Shock Index reflects heart rate divided by systolic blood pressure and is used to evaluate trauma patients for hypovolemic or septic shock. The normal range lies between 0.5 and 0.7 for nonpregnant patients. It is used to evaluate the possibility of ruptured ectopic pregnancy. A shock index of >0.85 increased by 15-fold the likelihood of a ruptured ectopic pregnancy. Ref: Hoffman B.L., Schorge J.O., Schaffer J.I., Halvorson L.M., Bradshaw K.D., Cunningham F.G., Calver L.E. (2012). Chapter 7. Ectopic Pregnancy. In B.L. Hoffman, J.O. Schorge, J.I. Schaffer, L.M. Halvorson, K.D. Bradshaw, F.G. Cunningham, L.E. Calver (Eds), Williams Gynecology, 2e.